Most important amino acid for formation Neutrophilic extracellular trap is ?
1. Leucine
2. Methionine
3. Citrulline
4. Valine

Correct answer: 3. Citrulline

Explanation: Answer- C. CitrullinePositively charged arginine is converted to neutral amino acid citrulline by the enzyme peptidyl arginine deaminase (citrullination).Citrullination is an essential step of NET formation.NETs proiile for a high local concentration of antimicrobial componenk such as neutrophil elastase, cathepsin G and histones, that have a high affinity for DNA.